The function of B subunit of cholera toxin is ?
1. ADP ribosylation of G protein
2. To bind GM1 ganglioside receptor
3. To stabilize cholera toxin
4. To increase cGMP

Correct answer: 2. To bind GM1 ganglioside receptor

Explanation: Ans. is `b' i.e., To bind GM1 ganglioside receptor